Drug used in day care anaesthesia-
1. Propofol
2. Enflurane
3. Xenon
4. Thiopentone

Correct answer: 1. Propofol

Explanation: Ans. is 'a' i.e., Propofol